Specificity; All are true except:
1. Identifies those who don't have the disease
2. Increased specificity decreases false positive
3. ELISA is more sensitive, while western blot is more specific
4. Identifies true positive

Correct answer: 4. Identifies true positive